A 14 year old boy came to opd with hypopigmented skin patches over forehead and white forelock. The most likely diagnosis is:
1. Albinism
2. Nevus anemicus
3. Nevus achromicus
4. Piebaldism

Correct answer: 4. Piebaldism

Explanation: Piebaldism is defect in the migration of melanocytes form neural crest. It presents with localized white patches and areas of normal skin can also be seen within the white patches. White Forelock can also be seen.